All of the following holds true about cluster sampling, except:
1. Is a Rapid and simple method
2. Samples are similar to those in Simple Random Sampling
3. It is a type of probability sample
4. The sample size may vary according to study design

Correct answer: 2. Samples are similar to those in Simple Random Sampling

Explanation: Cluster sampling is entirely different from Random sampling. The following are differences between random sampling and cluster sampling. Ref: Park's Texbook of Preventive and Social Medicine 19th Edition; Pages 702; High Yield Biostatistics by Anthony N. Glaser 2nd Edition, Pages 2 -3; Methods in Biostatistics By Mahajan6th Edition, Pages 96 - 100; Sampling of Populations: Methods and Applications By Paul S. Levy, Stanley Lemeshow 4th Edition; Pages 269 - 272; 223 - 229.